Concentration of sodium in Ringer's lactate is:
1. 154 mEq/L
2. 120 mEq/L
3. 130 mEq/L
4. 144 mEq/L

Correct answer: 3. 130 mEq/L